Which of the following techniques use piezoelectric crystals?
1. Ultrasonography
2. X–ray diffraction
3. NMR imaging
4. Xeroradiography

Correct answer: 1. Ultrasonography

Explanation: Ultrasonography is based on piezoelectric effect.
MRI is based on gyeromagnetic property of proton (H+).